Pulmonary fibrosis is side effect associated with the use of :
1. Actinomycin
2. Bleomycin
3. Doxorubicin
4. Mithramycin

Correct answer: 2. Bleomycin